IUCD with shortest life span is :
1. Lippes loop
2. Cu-T
3. Multiload device
4. Progestasert

Correct answer: 4. Progestasert

Explanation: Copper containing devices Copper T 200, Copper 7, Multiload Copper 250, Copper T 380, Copper T 220 and Nova T have an effective life of about 3-5 years. Copper T 380A, known as Paraguard, has a lifespan of 10 years. Progestasert is a T-shaped device carrying 38 mg of progesterone in silicon oil reservoir in the vertical stem. It releases 65 mcg of the hormone per day and needs yearly replacement. A new device, levonova, contains 60 mg of levonorgestrel (LNG) and releases the hormone in very low doses (20 mcg/day). It is thus longer acting (5 years). Mirena (32 , 32 mm) contains 52 mg LNG, eluting 20 mcg daily. It can be retained for 5 years. Frameless IUCD and fibroplast releasing 14 mcg progestogen daily for 3 year Reference: Shaw's textbook of Gynaecology 16th edition page no 269